Feature of post ovulatory endometrium on ultrasound is :
1. Single hyperechoic thin line
2. Three line sign
3. Prominent halo
4. Prominent Posterior enhancement

Correct answer: 4. Prominent Posterior enhancement

Explanation: Prominent Posterior enhancement Friends this is a very important Question IMPORTANT : I have summarised here the appearances of endometrium on transvaginal ultrasound during different stages of normal menstrual cycle. a. Early menses (days 1 - 4) Hypoechoic central echo with a thick hyperechoic endometrial echo and posterior enhancement similar to the luteal phase. b. Late menses (days 3 - 7) Single hyperechoic thin lines (central endometrial echo) Hypoechoic halo Hypoechoic central echo representing blood is gone Anterior posterior thickness of the entire endometrial echo complex is only 1 - 3 mm c. Early follicular phase (days 5 - 9) Halo present Relatively thin anterior posterior endometrial thickness (< 6 mm) 8 No posterior enhancementdeg Three line sign.deg d. Late follicular phase (days 10 - 14) As above with thicker endometrial echo complex (> 6 mm).